Drug of choice for treatment of Steroid Resistant Nephrotic syndrome is:
1. Prednisolone
2. Levamisole
3. Cyclophosphamide
4. Cyclosporine

Correct answer: 4. Cyclosporine

Explanation: Drug of choice for treatment of Steroid Resistant Nephrotic syndrome is: Calcineurin inhibitors (Cyclosporine or Tacrolimus)